Which is the purpose of adjusting the occlusion in dentures?
1. To obtain balanced occlusion.
2. To stabilize dentures.
3. To obtain even occlusal contacts.
4. All of the above.

Correct answer: 4. All of the above.

Explanation: Occlusal adjustment of dentures should be done with the premise of obtaining even occlusal contacts with balanced occlusion in order to stabilize the dentures during function.